Classification of pathogenic streptococci into group A, B, C, D and G is based on -
1. Color of colonies on blood agar
2. Antigenicity of cell wall carbohydrate
3. Presence or absence of capsule
4. Presence or absence of M protein

Correct answer: 2. Antigenicity of cell wall carbohydrate

Explanation: Ans. is 'b' i.e., Antigenicity of cell wall carbohydrate